Which of the following is not associated with hyponaternia and normal osmolality -
1. Hyperlipedemia
2. Hyperprotienemia
3. Irrigation of bladder after TURP
4. CHF

Correct answer: 4. CHF